True statement about Vi polysaccharide vaccine is-
1. Has many serious systemic adverse reactions
2. Has many serious local side effects
3. Has many contraindications
4. Can be administered with yellow fever and hepatitis A vaccine

Correct answer: 4. Can be administered with yellow fever and hepatitis A vaccine